Cocket and Dodd's operation is for:
1. Saphenofemoral flush ligation
2. Subfascial ligation
3. Deep vein thrombosis
4. Diabetic foot

Correct answer: 2. Subfascial ligation

Explanation: Cockett and Dodd Operation:- Perforators are ligated deep to the deep fascia through incisions in the antero-medial side of the leg .